Ethmoidal polyp is ?
1. Due to infection
2. Single
3. Recurrent
4. Occurs in children

Correct answer: 3. Recurrent

Explanation: Ans. is 'c' i.e., Recurrent